After the pericardial sac has been opened anteriorly during surgery, by passing a surgical clamp through the transverse sinus, surgeons can stop/divert circulation of blood in
1. Superior an inferior vena cava
2. Aorta and pulmonary veins
3. Aorta and pulmonary trunk
4. SVC and pulmonary veins

Correct answer: 3. Aorta and pulmonary trunk

Explanation: During surgery, a clamp is passed through the transverse sinus stops or diverts the blood flow from the aorta and pulmonary trunk. Transverse pericardial sinus seperates the arterial end of the heart tube from the venous end. Aorta and pulmonary trunk lie anterior to the sinus and superior vena cava lies posterior to it. Therefore, during surgery, a clamp is passed through the transverse sinus stops or diverts the blood flow from the aorta and pulmonary trunk. Ref: Gray's Anatomy 41st edition Pgno: 183